Following index measures average achievement in basic dimensions of human development
1. Human Poverty Index
2. Human Development Index
3. Gender Empowerment Index
4. Life Expectancy at Birth

Correct answer: 2. Human Development Index

Explanation: HDI reflects achievements in the most basic human capabilities like leading a long life, being knowledge and enjoying a decent standard of living. HDI includes Knowledge, income and life expectancy at birth. Ref : Park's Textbook of Preventive and Social Medicine; 23rd edition - Pgno 17